In diagnosis of acute myocardial infarction hot spot is seen with –
1. Thallium 201 scan
2. Tc 99 scan
3. Strontium 90 scan
4. L 127 scan

Correct answer: 2. Tc 99 scan